Thistle-tube appearance of pulp chamber is a feature of:
1. Coronal dentin dysplasia
2. Regional odontodysplasia
3. Dentinogenesis imperfecta
4. Amelogenesis imperfecta

Correct answer: 1. Coronal dentin dysplasia